Strawberry gingivitis seen in -
1. Myelocytic infiltration
2. Phenytoin toxicity
3. Wegner granulomatosis
4. Klipel renaunay syndrome

Correct answer: 3. Wegner granulomatosis

Explanation: Ans. is 'c' i.e., Wegener's granulomatosis Wegener's granulomatosis is known to cause oral mucosal lesions."Strawberry gingivitis is characteristic oral lesion associated with wezener \s granulomatosis".Strawberry gingivitis clinically presents with: - "Swollen erythematous gums clinically resembling overripe strawberries"